Snowstorm appearance of knee joint with multiple loose bodies are seen in?
1. Chondromalacia patellae
2. Ewing's sarcoma of knee joint
3. Fracture involving articular surface
4. Synovial chondromatosis

Correct answer: 4. Synovial chondromatosis

Explanation: Most common cause of snowstorm appearence of knee joint with multiple loose bodies is synovial chondromatosis. Most common cause of loose bodies in adolescents is Osteochondritis dessicans. Most common cause of loose bodies in elderly is Osteoarthritis.